For chest X–ray best view is –
1. P.A. view
2. A.P. view
3. Lateral view
4. None

Correct answer: 1. P.A. view

Explanation: "The best view of the chest is the postero-anterior view with the patient standing and lung fully expanded".